HHH syndrome is caused by defect in:
1. Ornithine permease
2. Ornithine transcarbamyolase
3. Arginase
4. Argininosuccinase lyase

Correct answer: 1. Ornithine permease

Explanation: Hyperammonemia-Hyperornithinemia-Homocitrullinemia (HHH) Syndrome: autosomal recessive disorder Defect is in transport system of ornithine from cytosol into mitochondria Accumulation of ornithine in the cytosol and a deficiency of ornithine inside mitochondria.